Which of the following is not a specific protection method under primary level of prevention?
1. Ribavirin to close contact meningitis patient
2. Health education about hand washing
3. Giving Pentavalent vaccination to children
4. Addition of iron with Wheat flour

Correct answer: 2. Health education about hand washing

Explanation: Ans. (B) Health education about hand washing(Ref: Park Text book of PSM 25th ed; pg. 410)Hand washing is not a specific protection measure under primary prevention. All other options are protection measures against specific disease.Health education about hand washing is usually primordial prevention.Ribavirin to close contact meningitis patient comes under chemoprophylaxis and primary prevention.Giving Pentavalent vaccination to children: Primary preventionAddition of iron with Wheat flour: Specific protection and primary prevention